Quarantine is related to
1. Minimum incubation period
2. Maximum incubation
3. Serial interval
4. Generation time

Correct answer: 2. Maximum incubation

Explanation: Quarantine has been defined as the limitation of freedom of movement of such well persons or domestic animals exposed to communicable diseases for a period of time not longer than the longest usual incubation period of the disease in such manner to prevent effective contact with those not exposed. ( refer pgno:121 park 23 rd edition)